All the following are non-motile Enterobacteriaceae members except
1. Morganella
2. Shigella
3. Klebsiella
4. Yersinia

Correct answer: 1. Morganella

Explanation: S/K/Y (mentioned options) are non-motile Enterobacteriaceae members Ref: Textbook of Microbiology Baveja 5th ed Pg 244